All of the following are true regarding confounding factor EXCEPT:
1. It is associated with exposure under investigation
2. It is distributed equally in study & control groups
3. It is associated both with exposure and disease
4. It is removed by matching in case control study

Correct answer: 2. It is distributed equally in study & control groups

Explanation: Ans. (b) It is distributed equally in study & control groupsRef: K. Park 23rd ed./72